A component of conversion disorder is
1. Hystericfits
2. Derealisation
3. Depersonaiisation
4. Amnesia

Correct answer: 1. Hystericfits

Explanation: ICD 10 includes conversion disorders under dissociative disorders,
however, traditionally conversion disorders are known as hysteria Conversion disorder may present with
1. Hysterical fits
2. Motor symptoms like abnormal movements and gait disturbance or inability to move
3. Sensory symptoms like Blindness but walks and doesn't injure himself Tubular vision Glove stocking anesthesia Loss of sensation (not dermatomal)